Leriche syndrome is caused in
1. Aortoiliac obstruction
2. Iliac obstruction
3. Femoropopliteal obstruction
4. Distal obstruction

Correct answer: 1. Aortoiliac obstruction

Explanation: Leriche's syndrome involves the blockage of the abdominal aorta as it transitions into the common iliac arteries.Aortoiliac obstruction is characterized byClaudication in buttocks, thighs and calvesFemoral and distal pulses absent in both limbsBruit over aortoiliac regionImpotence (Leriche)Ref: Bailey and love pg: 944